% of children with simple febrile seizures developing epilepsy is –
1. 1–2%
2. 2–5%
3. 5–10%
4. 10–20%

Correct answer: 1. 1–2%

Explanation: Children with febrile seizures have an increased risk of developing epilepsy.
Between 2% to 7% of all children with febrile seizures develop epilepsy if followed up to the age of 25 years. Risk depends on type of febrile seizure :

i) Simple febrile seizures →2% of all children with simple febrile seizures.
ii) Complex febrile seizures → 6-8% of all children with complex febrile seizures.


Three major risk factors increase the risk of epilepsy :-


Complex febrile seizures.
Pre-existing neurodevelopment abnormality.
Epilepsy in first degree relatives.